Hemangioblastoma is most commonly associated with
1. Von - Hippel lindau syndrome
2. Neurofibromatosis
3. Tuberous Sclerosis
4. Li - Fraumeni syndrome

Correct answer: 1. Von - Hippel lindau syndrome

Explanation: Von - Hippel lindau syndrome is associated with Cerebellar Hemangioblastoma, Spinal cord Hemangioblastoma, Retinal Hemangioblastoma.